First formed cementum is:
1. Acellular cementum.
2. Cellular cementum.
3. Afibrillar cementum.
4. None.

Correct answer: 1. Acellular cementum.